Select the antimicrobial agent that can be used to treat both methicillin resistant and vancomycin resistant staphylococcus aureus infection
1. Clarithromcycin
2. Clindamycin
3. Linezolid
4. Lincomycin

Correct answer: 3. Linezolid

Explanation: Ref-KDT 6/e p733 Linezolid is a prescription drug used as an antibiotic to treat certain serious bacterial infections. It works by stopping the growth of bacteria. Linezolid treats only bacterial infections. It will not work for viral infections (such as common cold, flu